Drug used to treat Cryptococcal meningitis is:
1. Pentostatin
2. Amphotericin B
3. Zidovudine
4. Clotrimazole

Correct answer: 2. Amphotericin B

Explanation: Ans. B: Amphotericin B Cryptococcus neoformans is an encapsulated yeast-like fungus. It causes meningitis, especially as a secondary infection in AIDS patients. Cryptococcosis that does not affect the central nervous system can be treated with fluconazole alone. Cryptococcal meningitis should be treated for two weeks with intravenous Amphotericin B and oral flucytosine. Main disadvantage of Amphotericin B includes nephrotoxicity.